Which tumor among the following is not found in Ant. Mediastinum -
1. Retrosternal goitre
2. Thymoma
3. Teratomous mass
4. Neurogenic tumor

Correct answer: 4. Neurogenic tumor

Explanation: Location of the common Mediastinal Masses Anterior Mediastinum Middle Mediastinum Posterior Mediastinum Thymoma (MC in anterior mediastinum) Lymphoma Germ cell tumors Thyroid and parathyroid masses Bronchogenic cyst Aneurysm Cyst (MC in middle mediastinum) Pericardial(MC) Bronchogenic Enterogenous Neuroenteric Vascular masses(aneurysm) LN Enlargement and lymphoma Mesenchymal tumors Pheochromocytoma Neurogenic tumors (MC overall) Meningoceles Mesenchymal tumors Pheochromocytoma Lymphoma Bochdalek hernia Bronchogenic cyst Enterogenous cyst Ref: Sabiston 20th edition Pgno : 1608